Most common cause of infection caused by intravascular catheter ?
1. E coli
2. Coagulase negative staphylococci
3. Staph aureus
4. Pseudomonas

Correct answer: 2. Coagulase negative staphylococci

Explanation: Ans. is 'b' i.e., Coagulase negative staphylococci "Staph. epidermidis is a coagulase negative staphylococcus, which has predilection for growth on implanted foreign bodies such as intravascular catheters, shunts, artificial heart valves and prosthetic appliances, leading to bacteremia".